Which of the following inhalational agent can cause coronary steal phenomenon-
1. Isoflurane
2. Sevoflurane
3. Desflurane
4. Halothane

Correct answer: 1. Isoflurane

Explanation: Isoflurane more than other inhalational agents increases coronary blood flow many times beyond that of the myocardial oxygen demand, thereby, creating potential for "Steel", steel is diversion of blood from a myocardial bed with limited or inadequate perfusion to a bed with more adequate perfusion.